What is the pressure inside uterus during second stage of labour :
1. 100-120 mm of Hg
2. 200-220 mm of Hg
3. 300 - 400 mm of Hg
4. 25 mm of Hg

Correct answer: 1. 100-120 mm of Hg

Explanation: 100-120 mm of Hg